The uvr ABC endonuclease is involved in which one of the following processes?
1. DNA replication
2. RNA splicing
3. DNA repair
4. DNA recombination

Correct answer: 3. DNA repair

Explanation: The uvrABC endonuclease is an enzyme that is involved in the repair of DNA that has been damaged by thymine dimer formation. It cuts a DNA strand on both sides of the thymine dimer, which allows the damaged region of DNA to be removed. DNA repair is completed by the action of DNA polymerase I, which fills in the gap with new DNA, and DNA ligase, which seals the remaining nick at the repaired area.